ORS new osmolarity is -
1. 270
2. 245
3. 290
4. 310

Correct answer: 2. 245

Explanation: Ans. is 'b' i.e., 245 o Because of the improved effectiveness of reduced osmolarity ORS solution, WHO and UNICEF are recommending that countries manufacture and use the following formulation in place of the previously recommended ORS solution.Composition of reduced osmolarity ORSReduced osmolarity ORSgrams/litreSodium chlorideGlucose, anhydrousPotassium chlorideTrisodium citrate, dihydrateTotal weight2.613.51.52.920.5Reduced osmolarity ORSmmol/litreSodiumChlorideGlucose, anhydrousPotassiumCitrateTotal osmolarity7565752010245